All are absolute contraindication of neuraxial anaesthesia except:
1. Patients refused
2. Local infection of site
3. Raised Intracranial pressure
4. Spinal deformity

Correct answer: 4. Spinal deformity

Explanation: Absolute C/ I of central neuraxial Blockade 1. Patient's refusal. 2. Local infection of site 3. Raised Intracranial pressure 4. Severe hypovolemia Two more which was earlier in absolute but now relative contraindication. 5. Coagulation disorder 6. Severe heart diseases